Placental abnormality related to PPH is?
1. Placenta accreta
2. Placenta percreta
3. Retained placental
4. All the above

Correct answer: 4. All the above

Explanation: Ans. is 'd' i.e., All the abovePlacenta: morbidly adherent placenta (accrete, percreta), partially or completely separately separated placenta but with retained bits of placental tissue leads to PPH.